Gallows Traction is used for-
1. Fracture shaft tibia in children
2. Fracture shaft femur in children
3. Fracture shaft tibia in adults
4. Fracture shaft Femur in adults

Correct answer: 2. Fracture shaft femur in children

Explanation: (Refer: Mohindra’s Fundamentals of Orthopedics, 2nd edition, pg no. 23, 531)
Conservative management of femur fractures in children

0-2 years:- Plaster spica or modified Bryant or Gallows traction or Pavlick harness (<6 month of age)
2-10 years:- Split Russell traction
10-15 years:- 90-90 degree femoral skeletal traction